Recruitment phenomenon is seen in:
1. Otitis media with effusion
2. Acoustic nerve schwannoma
3. Meniere's disease
4. Otosclerosis

Correct answer: 3. Meniere's disease

Explanation: Recruitment is a phenomenon of abnormal growth of loudness. Ear which does not hear low intensity sound begins to hear greater intensity sounds as loud or even louder than normal hearing ear. Thus, a loud sound which is tolerable in normal ear may grow to abnormal levels of loudness in the recruiting ear and thus becomes intolerable. The patients with recruitment are poor candidates for hearing aids. Recruitment is typically seen in lesions of the cochlea (e.g. Meniere's disease and presbycusis) and thus helps to differentiate a cochlear from a retrocochlear sensorineural hearing loss.